Selective 5–HT1B/1D receptor agonist useful in acute migraine is :
1. Buspirone
2. Ondansetron
3. Frovatriptan
4. Ketanserin

Correct answer: 3. Frovatriptan